Which one of the following is not a feature of type 2 respiratory failure ?
1. p CO2 38 mm Hg and pO2 50 mm HG
2. p CO2 68 mm Hg and pO2 50 mm Hg
3. Papilloedema
4. Asterixis

Correct answer: 1. p CO2 38 mm Hg and pO2 50 mm HG